In which of the following deformities is the distal interphalangeal joint flexed and proximal interphalangeal joint extended?
1. Boutonierre Deformity
2. Swan neck deformity
3. Z deformity
4. Claw hand

Correct answer: 2. Swan neck deformity

Explanation: Boutonniere deformity: flexion contracture of PIP joint and extension of DIP jointSwan neck deformity: Hyperextension of PIP joint and flexion at DIP jointZ-deformity: radial deviation of the wrist with ulnar deviation of fingers(Refer: Mohindra's Fundamentals of Orthopedics, 2nd edition, pg no. 420)